Which of the following structure prevents downward displacement of spleen?
1. Phrenicocolic ligament
2. Lienorenal ligament
3. Gastrosplenic ligament
4. Upper pole of the right kidney

Correct answer: 1. Phrenicocolic ligament

Explanation: Phrenicocolic ligament prevents downward displacement of spleen It is a peritoneal ligament extending from the splenic flexure of the colon to the diaphragm Lienorenal ligament: mesenteric fold passing from the spleen to the left kidney, transmits blood vessels to spleen. Gastrosplenic ligament: made of peritoneum that connects the greater curvature of stomach with the hilum of the spleen, contains short gastric vessels.